Most common intraabdominal solid tumor in children
1. Wilms tumor (Nephroblastoma)
2. Neuroblastoma
3. RCC
4. All of the above

Correct answer: 2. Neuroblastoma

Explanation: Neuroblastoma is the most common intra-abdominal & extra cranial solid tumor in children,accounting for 7-8% of all cancers.It is a malignant tumour of the autonomic nervous system derived from the neural crest. Reference:Essential pediatrics-Ghai,8th edition,page no:616.